A 22 year football player came to the hospital with pain and swelling at the lateral aspect of ankle. The emergency department diagnosed as inversion sprain. Which of the following ligament is affected ?
1. Calcaneonavicular
2. Calcaneofibular
3. Long plantar
4. Short plantar

Correct answer: 2. Calcaneofibular

Explanation: A forced inversion of foot results in tear of calcaneofibular ligament, sometimes anterior talofibular ligament. They prevent inversion of foot Ref: Gray's Anatomy The Anatomical Basics of Clinical Practice 41 e pg 1431